The mass movement of the colon would be abolished by
1. Extrinsic denervation
2. Distension of the colon
3. Gastrocolic reflex
4. Destruction of auerbach's plexus

Correct answer: 4. Destruction of auerbach's plexus

Explanation: Distension of the colon and gastro - colic reflex stimulates mass movement through the myenteric plexus / Auerbach plexus. So if it destroyed, mass movement gets abolished.